1718. A patient presents with increased serum ferritin, decreased TIBC, increased serum iron, % saturation increased. Most probable diagnosis is -
1. Anemia of chronic disease
2. Sideroblastic anemia
3. Iron deficiency anemia
4. Thalassemia minor

Correct answer: 2. Sideroblastic anemia

Explanation: In the given case,serum iron is raised,which implies that it is not a iron deficiency anemia or anemia of chronic disorder(where serum iron is reduced) In sideroblastic anemia , serum ferritin levels are raised,marrow iron stores are raised,serum iron is usually raised with almost complete saturation of TIBC. The disorder has its pathogenesis in disturbed growth & maturation of erythroid precursors at the level of hematopoietic stem cell,probably due to reduced activity of the enzyme,ALA synthetase. Reference :Harsh mohan textbook of pathology sixth edition pg no 300.